A pus culture on chocolate agar shows gram-negative cocci most likely organism is
1. Hemophilus ducreyi
2. Nisseria gonorrhoeae
3. Streptococcus pyogenes
4. Streptococcus pneumoniae

Correct answer: 2. Nisseria gonorrhoeae

Explanation: Streptococcus pneumoniae and Streptococcus pyogenes are gram-positive cocci. Hemophilus ducreyi is ovoid bacilli. It is gram negative but may appear gram-positive and frequently show bipolar staining. Gonococci is a gram-negative coccus. Reference: Textbook of Microbiology; Anathanarayan and panicker's; 10th edition; Page no: 236